The major difference between X–Rays and Light is –
1. Energy
2. Mass
3. Speed
4. Type of wave

Correct answer: 1. Energy

Explanation: The major difference between X-Rays and light is the 'energy' in each photon. An X-Ray photon has about 5000 times the energy than an ordinary light photon.
Major difference between X- rays & visible light:-


Wavelength
Energy